Triad of perioral pigmentation, bowel cancer and breast cancer is seen in:
1. Reiter's disease.
2. Peutz Jegher's syndrome.
3. Gardener's syndrome.
4. Scleroderma.

Correct answer: 2. Peutz Jegher's syndrome.